Which of the following does not cause an increase in serum amylase
1. Pancreatitis
2. Carcinoma lung
3. Renal failure
4. Cardiac failure

Correct answer: 4. Cardiac failure

Explanation: Non pancreatic causes of Hyperamylasemia Burns Pregnancy Cholecystitis Aortic aneurysm Ruptured ectopic Diabetic keto acidosis Renal transplantation Perforated ulcer Chronic liver disease Intestinal obstruction Renal failure Drugs: Morphine Salivary gland disorder : Mumps, calculus, Maxillofacial surgery Tumors : Carcinoma of the lung, esophagus, breast, ovary (LEBO) Ref: Sabiston 20th edition Pgno : 1524-1528